Delirium and schizophreinia differ from each other by:
1. Change in mood
2. Complete consciounsness
3. Tangenital thinking
4. All

Correct answer: 2. Complete consciounsness

Explanation: B. i.e. Complete consciousness